Sunflower cataract is seen
1. Blunt trauma
2. Williams disease
3. Wilson's disease
4. Myotonic dystrophy

Correct answer: 3. Wilson's disease

Explanation: Sunflower cataract is seen in Wilson's disease.
It is considered as a second opthalmic sign of Wilson's disease after KF ring.